All of the following are examples of tumor markers, except:
1. Alpha-HCG (?-hCG)
2. Alpha-Feto protein
3. Thyroglobulin
4. ?2 microglobulin

Correct answer: 1. Alpha-HCG (?-hCG)

Explanation: . Alpha-HCG (I+--hCG)